Aspergers syndrome is a -
1. Developmental delay
2. Neuromuscular disease
3. Degenerative disorder
4. Metabolic disorder

Correct answer: 1. Developmental delay

Explanation: Ans. is 'a' i.e., Developmental delay Children with Asperger syndrome have a qualitative impairment in the development of reciprocal social interaction, often showing repetitive behaviours and restricted, obsessional, idiosyncrotic interests.